Which one of the following condition is not associated with Celiac sprue
1. Turner syndrome
2. Down syndrome
3. Klinefelter syndrome
4. Type 1 diabetes

Correct answer: 3. Klinefelter syndrome

Explanation: There is also an association of Celiac sprue with other immune disease LA including type 1 diabetes, thyroiditis, Sjogrens syndrome, as well as ataxia autism, depression, down syndrome, turner syndrome